Trauma to breast causes which type of necrosis -
1. Coagualtive necrosis
2. Liquefactive necrosis
3. Caseous necrosis
4. Fat necrosis

Correct answer: 4. Fat necrosis

Explanation: Ans. is 'd' i.e., Fat necrosis Fat necrosisFat necrosis may be of two types : -Enzymatic fat necrosiso This is due to the action of lipase on adipose tissue,o It occurs most frequently in acute pancreatitis due to leakage of lipase,o Depending on the severity of acute pancreatitis, fat necrosis may occur in : -Adipose tissue contiguous to patter ease, i. e., retroperitoneal fat.Adipose tissue in the anterior mediastinum.Bone marrowOmental and abdominal fatNonenzymatic or Traumatic fat necrosiso Occurs due to traumao Is seen in the subcutaneous tissue of breast, thigh, and abdomen.